Reliability of a screening test refers to:
1. Accurately measures what it is supposed to measure
2. Gives same values even on repeated testing
3. The extent to which the observer can go in finding the result
4. Depends on knowledge of the observer

Correct answer: 2. Gives same values even on repeated testing